Confirmatory test for the diagnosis of Amyloidosis is :
1. Diagnostic peritoneal lavage
2. Tongue biopsy
3. Rectal biopsy
4. Whole body CT scan

Correct answer: 3. Rectal biopsy

Explanation: ANSWER: (C) Rectal biopsyREF: Robbin s pathology 7th edition page 264Diagnosis of Amyloidosis depends on the demonstration of amyloid deposits in tissue. The most common sites biopsied are the kidney, when renal manifestations are present, or rectal or gingival tissue in patients suspected of having systemic amyloidosis.